Which is the most abundant RNA molecule
1. r RNA
2. t RNA
3. m RNA
4. mi RNA

Correct answer: 1. r RNA

Explanation: r RNA (80%)
t RNA (15%)
m RNA (5%)
mi RNA (<1%)